Blue man syndrome is:
1. Acrodynia.
2. Argyria.
3. Plumbism.
4. None.

Correct answer: 2. Argyria.